The Karyotype of a complete mole is:
1. 46 XY
2. 46 XX
3. 69 XYY
4. 69 XXY

Correct answer: 2. 46 XX

Explanation: Complete moles have a normal karyotype of 46XX in 90% of the cases, usually resulting from an empty ovum fertilized by a single sperm with subsequent reduplication of its haploid set of chromosomes. In approximately 5%, the complete mole has a 46XY karyotype, which occurs when two sperms (one carrying an X chromosome and the other carrying a Y chromosome) fertilize an empty ovum. The Karyotype of a incomplete or partial mole is 69 XYY or 69 XXY. Ref: Gynecological Cancer Management: Identification, Diagnosis and Treatment edited by Daniel Clarke-Pearson, John Soper, 2011, Chapter 14 ; Text Book of Obstetrics by D.C.Dutta, 6th edition, Page 194, Page 200.